While analysing a data, allocation into similar groups is done to ensure -
1. Comparability
2. Accuracy
3. Validity
4. Sensitivity

Correct answer: 1. Comparability

Explanation: Ans. is 'a' i.e., Comparability o Both groups (study and control) should be comparable in respect of all the possible varibles, which may influence the outcome. o So that, except for the factor under study will not influence the outcome confoundation and bias can be minimized.